Varicella are classified under -
1. Enterovirus
2. Retrovirus
3. Poxvirus
4. Herpes virus

Correct answer: 4. Herpes virus

Explanation: Family Herpesviridae is divided into 3 subfamilies based on biological,physical and genetic propeies-Alphaherpesviruses,Betaherpesviruses and Gammaherpesviruses. Alphaherpesviruses include herpes simplex virus and varicella zoster virus. REF:ANATHANARAYAN AND PANIKER'S TEXTBOOK OF MICROBIOLOGY 8TH EDITION PAGE NO:467